Most common cause of ophthalmia neonatorum :
1. Chlamydia
2. Gonorrhoea
3. HSV
4. Staph aureus

Correct answer: 1. Chlamydia

Explanation: Chlamydia is the most common cause and presents by 4-10 days.